Throat swab is kept in ?
1. Plastic jar
2. Test tube
3. Petri dish
4. None

Correct answer: 2. Test tube

Explanation: Ans. is 'b' i.e., Test tube A throat - swab consists of an orange - stick with cotton wool wrapped round one end and placed in a test tube passing through a plug of non-absorbent cotton wool, with the free end of the stick protruding.The tubes with the swabs are kept in oven for sterilization.